A 45 year old was given steroids after renal transplant. After 2 years he had difficulty in walking and pain in both hips. Which one of the following is most likely cause?
1. Primary Osteoarthritis
2. Avascular necrosis
3. Tuberculosis
4. Aluminum toxicity

Correct answer: 2. Avascular necrosis

Explanation: Difficulty in walking and pain in both hips after 2 years of steroid intake is suggestive of avascular necrosis. Ref: Apley's System of Orthopedics and Fractures, 8th Edition, Pages 92-93; MR Imaging of the Body By Ernst J. Rummeny, Peter Reimer, Walter Heindel, 2009, Page 460